The setting reaction of dental amalgam proceeds primarily by _____.
1. Dissolution of the entire alloy particle into mercury.
2. Dissolution of the Cu from the particles into mercury.
3. Precipitation of Sn-Hg crystals.
4. Mercury reaction with Ag on or in the alloy particle.

Correct answer: 4. Mercury reaction with Ag on or in the alloy particle.

Explanation: The trituration process mixes the amalgam components and the reaction results in the alloy particle being coated by mercury and a product being formed.